Horrock’s apparatus estimates
1. Free chlorine
2. Chlorine demand
3. Both (a) + (b)
4. Combined chlorine

Correct answer: 2. Chlorine demand

Explanation: Used To find out the dose of bleaching powder required for disinfection of water, i.e. ‘Chlorine demand estimation of water.'